Which of the following is characteristic only of viruses
1. They are intracellular organisms
2. They affect the production of interferon and are sensitive to it.
3. They reproduce by binary fission
4. They can be grown on inanimate media

Correct answer: 2. They affect the production of interferon and are sensitive to it.